Upper limb counterpart of dorsal spinocerebellar tract is:
1. Tecto-cerebellar tract
2. Vestibulo-cerebellar tract
3. Cuneo-cerebellar tract
4. Ventral spinocerebellar tract

Correct answer: 3. Cuneo-cerebellar tract

Explanation: Dorsal spinocerebellar tract carries - touch, pressure & unconscious proprioception from the lower body. Cuneo- cerebellar tract is considered as the upper limb equivalent of the dorsal spinocerebellar tract Ventral spinocerebellar tract - composite pathway carrying proprioception. Vestibulo cerebellar tract - carries fibers from the vestibular nuclei to regulate equilibrium & balance